A child changes rattle from one hand to the other hand at the age of:
1. 3 months
2. 6 months
3. 12 months
4. 15 months

Correct answer: 2. 6 months

Explanation: Ans. B. 6 monthsA child transfers object, or changes rattle from one hand to the other hand by the age of 5-7 months. Therefore, here the best answer is 6 months.